Which of the following is an absolute indication for hemodialysis in CKD?
1. Metabolic acidosis
2. Uremic Pericarditis
3. Uraemic lung
4. Hyperkalemia

Correct answer: 2. Uremic Pericarditis

Explanation: Absolute indication for Hemodialysis in CKD is Uremic pericarditis . This is due to propensity for hemorrhage in pericardial sac on account of uremia. The resultant cardiac tamponade will cause obstructive shock. Option A is managed with Soda Bicarbonate. Option C will cause pleural effusion but will not be life threatening as compared to pericarditis. Option D is managed with patiromer and potassium binding resins and only if it is life threatening values and refractory to medical therapy that dialysis is planned. Indications for Dialysis in CKD Pericarditis Fluid overload or pulmonary edema refractory to diuretics Accelerated HTN non-responsive to medication Progressive uremic encephalopathy Bleeding Diathesis